A 70 years old man with prostate cancer was given radiotherapy. The recurrence of the cancer is monitored biochemically by:
1. Androgens only
2. Prostate specific antigen and carcinoembryonic antigen
3. Prostate specific antigen only
4. ALP and CEA

Correct answer: 3. Prostate specific antigen only

Explanation: Ans. c. Prostate specific antigen only